Diagnostic criteria of CML are -
1. Auer rods
2. Basophilia
3. LAP score
4. Chromosomal abnormality seen (t 9:22)

Correct answer: 4. Chromosomal abnormality seen (t 9:22)

Explanation: Ans. is 'e' i.e., Chromosomal abnormality seen (t 9:22)